One of the following abscesses occur in sternocleidomastoid sheath in relation to mastoid infections:
1. Bezold's abscess
2. Meatal abscess
3. Luc's abscess
4. Citelli's abscess

Correct answer: 1. Bezold's abscess

Explanation: Ans: A (Bezold's abscess) Ref: Diseases of the Ear Nose and Throat by PL Dhingra 5th edn ,2010.pg 87Explanation:Bezold's abscessIt is an extra cranial complication of CSOM - attico antral typePus breaks through the mastoid tip and extends along the sternocleidomastoid to present as a neck abscessOther abscess arePost aural abscess:Most commonDisplaces the pinna forwards, outwards and downwardsMeatal abscess:Luc's abscessPus breaks into the bony osseous external auditory meatus.Citelle's abscess:Pus tracks along the digastric muscle and presents in the digastric triangle.Zygomatic abscess:Presents at the root of zygoma.Swelling seen in front and above the pinna.